A man present with fever, chills 2 weeks after a louse bite. There was maculopapular rash on the trunk which spread peripherally. The cause of this infection can be -
1. Scrub typus
2. Endemic typhus
3. Rickettsial pox
4. Epidemic typhus

Correct answer: 4. Epidemic typhus